Glucose transport occur with the help of following ion in absorption in gut region
1. Na+
2. K+
3. Ca+
4. Cl-

Correct answer: 1. Na+

Explanation: (Na+) (27 -K.S 4th) (318-Ganong 23rd)Sodium co-transport of glucose - Sodium co - transport of glucose occurs during absorption of glucose from the intestine and reabsorption of glucose from renal tubule